The type of enzyme inhibition in which succinate dehydrogenase reaction is inhibited by malonate is an example of:
1. Noncompetitive
2. Uncompetitive
3. Competitive
4. Allosteric

Correct answer: 3. Competitive

Explanation: Inhibition of the enzyme succinate dehydrogenase by malonate illustrates competitive inhibition by a substrate analog. Succinate dehydrogenase catalyzes the removal of one hydrogen atom from each of the two-methylene carbons of succinate. Both succinate and its structural analog malonate can bind to the active site of succinate dehydrogenase. However, since malonate contains only one methylene carbon, it cannot undergo dehydrogenation. Ref: Kennelly P.J., Rodwell V.W. (2011). Chapter 8. Enzymes: Kinetics. In D.A. Bender, K.M. Botham, P.A. Weil, P.J. Kennelly, R.K. Murray, V.W. Rodwell (Eds), Harper's Illustrated Biochemistry, 29e.